Which of the following is the principal mode of heat exchange in an Infant incubator?
1. Radiation
2. Evaporation
3. Convection
4. Conduction

Correct answer: 3. Convection

Explanation: Infants lose heat from the skin to the environment by the following methods: Convection :This is the loss of heat from the infant's skin to the surrounding air. Infants lose a lot of heat by convection when exposed to cold air or draughts. Reference: GHAI Essential pediatrics, 8th edition